The length of Eustachian tube is -
1. 16mm
2. 24 mm
3. 36mm
4. 40 mm

Correct answer: 3. 36mm